All of the following drugs useful in bronchial asthma are bronchodilators EXCEPT :
1. Theophylline
2. Salmeterol
3. Beclomethasone
4. Ipratropium

Correct answer: 3. Beclomethasone